Extensive involvement of deep white matter with bilateral hyperdense thalami on non-contrast CT scan of the brain is virtually diagnostic of:
1. Alexander's disease
2. Krabbe's disease
3. Canavan's disease
4. Metachromatic leukodystrophy

Correct answer: 2. Krabbe's disease

Explanation: B i.e., Krabbe's disease Krabbe's diseases (Globoid cell leukodystrophy) is characterized by: Focal bilateral thalamic, posterior internal capsule and basal ganglia lesion showing hyperdensity & calcification in CT scanQ and hypointensity on T2 MRI. Extensive involvement of deep white matterQ, more severely posteriorly & centrally. - Cerebellar white matter abnormality sparing the dentate nuclei; & involvement of pyramidal tracts within brain stem. MCT shows hypodensity of white matter. MRI- T2 image also detect abnormality in deep periventricular white matter with cavitatory changes, adjacent to frontal horns.